True about Toxoplasma gondii is, it is carried by -
1. Cats
2. Dogs
3. Rats
4. Cow

Correct answer: 1. Cats